Which one of the following definitions best fits the term enthesitis ?
1. Inflammation at the site of tendinous or ligamentous insertion into bone
2. Inflammation of the periarticular membrane lining the joint capsule
3. Inflammation of a sac-like cavity near a joint that decreases friction
4. All of the above

Correct answer: 1. Inflammation at the site of tendinous or ligamentous insertion into bone